ESI act was made in:
1. 1946
2. 1948
3. 1952
4. 1954

Correct answer: 2. 1948

Explanation: Ans. B i.e. 1948